Yellow discoloration of the skin and the mucosa is seen in which poisoning?
1. Nitrous oxide
2. Nitric acid
3. Sulphuric acid
4. Phosphoric acid

Correct answer: 2. Nitric acid

Explanation: Ans. is 'b' i.e., Nitric acid o Nitric acid causes yellow discoloration of the tissues including the crowns of the teeth & yellow stains on the clothing,o Inhalation of fumes causes lacrimation, photophobia, irritation of air-passages & lungs producing sneezing, coughing, dyspnea & asphyxia,o The color of urine is brown.PoisonPattern of MucosaArsenicRed velvety mucosa of the stomachH2SO4Brown of Black with erosion, perforation & CarbolizationCarbolic AcidGreen w hite of Brow n - white or Grey leathery- and thickened mucosaHNO3YellowHC1PinkAmmoniaPerforatedHCNPinkKCNBrick red to brownKOH, NaOHDeeply congested. BlackPhosphorusYellow or grey white